Lalloo, 60 years of age, a known case of cirrhosis liver, presents with increased levels of Alpha feto protein, hepatomegaly 3 cm below costal margin. USG showed lesions involving the right lobe of the liver. What is the most probable diagnosis :
1. Focal nodular hyper-plasia
2. Hepatocellular carinoma
3. Hepatic adenoma
4. Metastasis

Correct answer: 2. Hepatocellular carinoma

Explanation: Answer is B (Hepatocellular Carcinoma): Presence of elevated Alphaletoprotein levels (tumor marker) and hepatomegaly (most common clinical sign) in a sixty year old patient with cirrhosis (predisposing factor) suggests the diagnosis of hepatocellular carcinoma.